Most effective natural barrier to rabies-
1. Heat
2. Humidity
3. Water
4. None

Correct answer: 3. Water